Sjogren syndrome affects:
1. Exocrine glands.
2. Paracrine glands.
3. Endocrine glands.
4. Autocrine glands.

Correct answer: 1. Exocrine glands.